Stapes foot plate covers which of the following structure?
1. Round window
2. Oval window
3. Inferior sinus tympanum
4. Pyramid

Correct answer: 2. Oval window

Explanation: The stapes is the smallest bone in the human body and is located in the oval window. Foot plate of the stapes rest on oval window, which is an opening of the vestibule and the scala vestibuli of the cochlea. The oval window is located at the bottom of a deep depression outlined by the facial nerve superiorly, the promontory inferiorly, the cochleariform process anteriorly and the pyramidal eminence posteriorly.